SIADH is associated with the following drug :
1. Vincristine
2. Erythromycin
3. 5 - FU
4. Methotrexate

Correct answer: 1. Vincristine

Explanation: Answer is A (Vincristine): Vincristine is known to cause SIADH. Drugs associated with SIADH : Vasopressin or desmopressin Chlorpropamide Oxytocin, high dose Vincristine Carbamezapine Nicotine Phenothiazines Cyclophosphamide Tricyclic antidepressants M40 inhibitors Serotonin reuptake inhibitors